Patient has direct inguinal hernia. On operation intra- operative indirect inguinal hernia is seen. Diagnosis is:
1. Maydl's hernia
2. Velpeau hernia
3. Petit hernia
4. Saddle bag hernia

Correct answer: 4. Saddle bag hernia

Explanation: Ans. (d) Saddle bag herniaRef: Sabiston 19th ed. /1126-27# HERNIAS AT A GLANCE* Amvand's hernia: containing the appendix vermiformis within the hernia sac* Cooper's hernia: a femoral hernia with two sacs, the first being in the femoral canal, and the second passing through a defect in the superficial fascia and appearing almost immediately beneath the skin.* Epigastric hernia: a hernia through the linea alba above the umbilicus.* Hiatus hernia: a hernia due to "short oesophagus" -- insufficient elongation -- stomach is displaced into the thorax* Littre's hernia: a hernia involving a Meckel's diverticulum. It is named after the French anatomist Alexis Littre* Lumbar hernia: a hernia in the lumbar region (not to be confused with a lumbar disc hernia), contains the following entities:# Petit's hernia: a hernia through Petit's triangle (inferior lumbar triangle). It is named after French surgeon Jean Louis Petit.# Grvnfeltt's hernia a hernia through Grynfeltt-Lesshaft triangle (superior lumbar triangle). It is named after physician Joseph Grynfeltt (1840-1913).* Mavdl's hernia: two adjacent loops of small intestine are within a hernial sac with a tight neck. The intervening portion of bowel within the abdomen is deprived of its blood supply and eventually becomes necrotic.* Morgagni hernia: a type of hernia where abdominal contents pass into the thorax through a weakness in the diaphragm* Obturator hernia: hernia through obturator canal.* Pantaloon hernia (Saddle Bag hernial: a combined direct and indirect hernia, when the hernial sac protrudes on either side of the inferior epigastric vessels.* Paraumbilical hernia: a type of umbilical hernia occurring in adults* Perineal hernia: a perineal hernia protrudes through the muscles and fascia of the perineal floor. It may be primary but usually is acquired following perineal prostatectomy, abdominoperineal resection of the rectum, or pelvic exenteration.* Properitoneal hernia: rare hernia located directly above the peritoneum, for example, when part of an inguinal hernia projects from the deep inguinal ring to the preperitoneal space.* Richter's hernia: a hernia involving only one sidewall of the bowel, which can result in bowel strangulation leading to perforation through ischaemia without causing bowel obstruction or any of its warning signs.* Sliding hernia: occurs when an organ drags along part of the peritoneum, or, in other words, the organ is part of the hernia sac. The colon and the urinary bladder are often involved. The term also frequently refers to sliding hernias of the stomach.* Sciatic hernia: this hernia in the greater sciatic foramen most commonly presents as an uncomfortable mass in the gluteal area. Bowel obstruction may also occur. This type of hernia is only a rare cause of sciatic neuralgia.* Velpeau hernia: a hernia in the groin in front of the femoral blood vessels